Which gland is enclosed by pretracheal fascia?
1. Parotid gland
2. Thyroid gland
3. Submandibular gland
4. Sublingual gland

Correct answer: 2. Thyroid gland